Height of children in 2 - 10 years of age is increased by:
1. 2cm/year
2. 4cm/year
3. 6cm/year
4. 10cm/year

Correct answer: 3. 6cm/year

Explanation: Height Velocity in Children: Age Normal range 2 - 5 years 6 cm/ year* 5 - 10 years 5-6 cm/year